While carrying a heavy suitcase the downward dislocation of glenohumeral joint is resisted by the following muscles EXCEPT
1. Deltoid
2. Coracobrachialis
3. Short head of biceps
4. Latissimus dorsi

Correct answer: 4. Latissimus dorsi

Explanation: The axis of pull of latissimus dorsi doesn't cross the shoulder joint and cannot have a shunt action on the joint. Shunt muscles - stabilise the corresponding joint, when not producing movement at the joint. For example, while carrying a heavy suitcase the downward dislocation of glenohumeral joint is resisted by the muscles like deltoid, coracobrachialis and short head of biceps.